One of the following is NOT a sign of diabetic retinopathy –
1. Microaneurysms
2. Cotton wool spots
3. Hard exudates
4. Choroidal neovascularization

Correct answer: 4. Choroidal neovascularization

Explanation: There is retinal neovascularization (not choroidal).